Which of the following is a non-reducing sugar:
1. Glucose
2. Maltose
3. Lactose
4. Sucrose

Correct answer: 4. Sucrose